Hypokalemia may be a feature of all following diseases, except -
1. Addison's disease
2. Cushing's syndrome
3. Barter's syndrome
4. Gitelman's syndrome

Correct answer: 1. Addison's disease